Venous malformations involving the leptomeninges of the cerebral cortex is a salient feature of
1. Rendu-Osier-Weber disease
2. Maffuci's syndrome
3. Angioosteohypertrophy syndrome
4. Sturge weber syndrome

Correct answer: 4. Sturge weber syndrome